Neurotrophic keratitis involves which nerve:
1. Trochlear
2. Trigeminal
3. Abducens
4. Facial

Correct answer: 2. Trigeminal

Explanation: Ans. B: Trigeminal Neurotrophic keratopathy occurs in cases in which trigeminal nerve is paralyzed, typically as a result of radical treatment for trigeminal neuralgia. It does not occur in all cases of peripheral lesions of the trigeminal nerve; thus, if the gasserian ganaglion is removed or the trigeminal nerve with alcohol for trigeminal neuralgia with proper precautions, only a few cases develop neurotrophic keratitis. Neuroparalytic keratopathy is seen in facial nerve palsy as occurs in Bell's palsy, leprosy or neurological disorders leading to ectropion, lagophthalmos and exposure keratopathy.